Nocardia can be differentiated from other Actinomyces by ?
1. ZN staining
2. Fontana stain
3. Gram staining
4. All

Correct answer: 1. ZN staining

Explanation: Ans. is 'a' i.e., ZN staining